Illusion with altered sensorium is seen in
1. Schizophrenia
2. Hysteria
3. MDP
4. Delirium

Correct answer: 4. Delirium

Explanation: D i.e. Delirium